True about epidemiology of leprosy -a) If high prevalence of cases seen in childhood, it means disease is under controlb) Lepra bacilli cannot survive outside hman bodyc) Bacterial load is high in tuberculoid varietyd) Insect can transmit the diseasee) Relapse rate is indicator of efficacy of the drug regimen
1. de
2. bc
3. cd
4. bd

Correct answer: 1. de